In Complete cleft palate, the hard palate is totally separated from?
1. Maxilla
2. Soft palate
3. Vomer
4. All

Correct answer: 3. Vomer

Explanation: ANSWER: (C) VomerREF: With textPalate cleft can occur as complete (soft and hard palate, possibly including a gap in the jaw) or incomplete (a 'hole' in the roof of the mouth, usually as a cleft soft palate).Normally the hard palate is continuous in front and laterally with the alveolar processes of the maxilla, and gives attachment posteriorly to the soft palate."In cleft palate the hard palate may or may not be attached to the vomer. If it is attached to the vomer, it is called as incomplete. Hard palate in complete cleft palate is totally separated from vomer' REF: Cleft lip and palate: diagnosis and management - Samuel Berkowitz Page 50."In incomplete unilateral cleft palate, nasal septum (Vomer) is attached to the uncleft side of hard palate. In bilateral complete deft lip and palate, Vomer is free and septum hangs freely"REF: Synopsis of Oral & Maxillofacial Surgery by Ghosh page 155Incomplete deft palateUnilateral complete lip and palateBilateral complete lip and palate